Conditions in newborn that disappear spontaneously include all of the following EXCEPT:
1. Milia
2. Mongolian spots
3. Erythema toxicum
4. Talipes equinovarus

Correct answer: 4. Talipes equinovarus

Explanation: Equinovarus deformity of limbs - require t/t. Conditions in newborn that disappear spontaneously - Milia Colourless papules due to plugging of sweat ducts Mongolian spots Bluish black areas of pigmentation Seen over the buttocks & lower back & back of thighs. Due to migration of neural crest cells. Erythema toxicum Erythematous maculopapular rash mainly on trunk Seen in 1st week of life Biopsy:-Shows eosinophil filled sterile lesion